Unconjugated hyperbilirubinemia in neonate is seen in all of the following except –
1. Physiological jaundice
2. Dubin johnson syndrome
3. Hypothyroidism
4. Hemolytic anemia

Correct answer: 2. Dubin johnson syndrome